Caspases are associated with which of the following
1. Hydopic degeneration
2. Collagen hyalinisation
3. Embryogenesis
4. Fatty degeneration

Correct answer: 3. Embryogenesis

Explanation: Ref, Robbins 8/e p25,9/ep25